All are true about type A PHC except
1. PHC with delivery load of <20 per month
2. PHC with delivery load of >20 per month
3. 1 MBBS doctor
4. Total staff of 13-18

Correct answer: 2. PHC with delivery load of >20 per month

Explanation: Type A PHC


Type B PHC







Delivery load of <20 deliveries per month.
Total staff 13-18




Delivery load of >20 deliveries per month.
Total staff 14-21